Which of the following is NOT a duty of female multipurpose worker:
1. Distribution of condoms
2. Active malaria surveillance
3. Birth death stastistics
4. Immunization of mothers

Correct answer: 2. Active malaria surveillance

Explanation: Ans: B i.e. Active malaria surveillance MPHW female, while maintaining passive surveillance register for malaria cases, she will record: No. of fever cases No. of blood slides prepared etc.